Troponin-T is a marker of-
1. Renal diseases
2. Muscular dystrophy
3. Cirrhosis of liver
4. Myocardial infarction

Correct answer: 4. Myocardial infarction

Explanation: Ans. is 'd' i.e., Myocardial infarctiono Troponins are protein that regulate calcium mediated contraction of skeletal muscle and cardiac muscle.This protein is not normally detectable in blood.o Therefore serum elevation of this protein denotes any abnormality in either cardiac or skeletal muscle.o Cardiac specific Troponin T (cTnT) and cardiac specific Troponin I (cTnI) have amino acid sequences different from those of the skeletal muscle forms of these proteins.o This allows detection of cardiac specific Troponin c TnT and c TnI with highly specific monoclonal antibodies in cardiac diseases.o cTnT and cTnI are not normally detectable in the blood of healthy individuals but increase after AMI to levels over 20 times higher than cut off values.o Therefore the measurement of cTnT and cTnI is of considerable diagnostic value in a case of acute M.I. o After acute MI both cTnT and cTnI arise at about the same time as CK-MB i.e., at 2-4 hrs. Levels of cTnI remain elevated for 7-10 days after AMI Levels of cTnT remains elevated for 10-14 days after AMIo In acute stages of M.I. the diagnostic sensitivity of Troponin is equal to that of CKMB.o Troponin T & I can be detected even in cases of small MI when CPK-MB is not detectable.o Therefore measurement of Troponin level is now thepreferred method for the serum marker detection for MI